A 26-year-old nulliparous female with third degree uterine prolapse but no cystocele and no rectocele is best treated by:
1. Abdominal sling surgery
2. Le fort colpocleisis
3. Fothergills repair
4. Amputation of cervix

Correct answer: 1. Abdominal sling surgery

Explanation: Ans. is a, i.e. Abdominal sling surgeryBest surgery for prolapse when a female wants to conceive in future is - Abdominal sling surgery.